Posterior urethral valve is diagnosed on micturating cystometrogram by :
1. Dilatation of posterior urethra
2. Bladder neck contracture
3. Vesico-Ureteric reflex
4. Bladder wall hypertrophy

Correct answer: 1. Dilatation of posterior urethra

Explanation: Micturating cystourethrogram findings :

Dilation of prostatic urethra.
Transverse linear filling defect corresponding to the valves.